Most common site of ectopic pancreatic tissue is-
1. Stomach
2. Jejunum
3. Appendix
4. Hilum of spleen

Correct answer: 1. Stomach